All of the following are signs of good attachment during breast feeding EXCEPT:
1. Baby's mouth is wide open
2. Baby's lower lip is everted
3. Lower areola is more visible than upper
4. Baby's chin touching the breast

Correct answer: 3. Lower areola is more visible than upper

Explanation: Ans. (c) Lower areola is more visible than upperRef : OP Ghai 8th ed./154* I would suggest you to cram this question as it has been repeated multiple times and I think will be eternally as its a basic skill for managing patients.Please refer to above explanation.